Which agent is used to prevent synechiae after DCR surgery
1. Mitomycin
2. Tacrolimus
3. Cyclosporine
4. Doxycycline

Correct answer: 1. Mitomycin

Explanation: Ans. is 'a' i.e., Mitomycin Now, Mitomycin is being increasingly used for this purpose and is proving more usefulMitomycin is an anticancer agent that has shown to decrease scar formation after E.N.T. surgeryIt is an antifibroblastic agent and thus prevents the wound healing and subsequent synechae formation.It is useful in preventing synechae formation in following operations :?DCRSinus surgery